Waterflow classification of malnutrition in children takes into account?
1. Weight for height (wasting)
2. Height for age (stunting)
3. Weight for height (wasting) and height for age (stunting)
4. Percent of reference weight for age

Correct answer: 3. Weight for height (wasting) and height for age (stunting)

Explanation: Waterlow's classification of PEM: It defines two groups- 1. Malnutrition with a retarded growth, in which a drop in height/age ratio points to a chronic condition - shortness/stunting. It is an index of the duration of malnutrition 2. Malnutrition with a low weight for a normal height, in which the weight for height ratio is indicative of an acute condition of rapid weight loss/ wasting. It is an index of severity of malnutrition. Reference: GHAI Essential pediatrics, eighth edition